Formative cells in the periodontal ligament is:
1. Osteoblasts.
2. Cementoblasts.
3. Fibroblasts.
4. All of the above

Correct answer: 4. All of the above